Which of the following dings is not used for anxiety?
1. Propanolol
2. Aiprazolam
3. Buspirone
4. Haloperidol

Correct answer: 4. Haloperidol

Explanation: Ans. is 'd' i.e., Haloperidol